Dysphagia lusoria is due to
1. Esophageal diverticulum
2. Aneurysm of aorta
3. Esophageal web
4. Compression by aberrant blood vessel

Correct answer: 4. Compression by aberrant blood vessel

Explanation: The MC anomaly is right subclavian artery arising from the descending aorta and travels behind the esophagus to complete its course to the right upper extremity, may cause significant posterior compression of the esophagus Ref : ENT textbook by Dhingra 6th edition Pgno : 447